Beta–adrenoceptor blocking agent that should be avoided in patients with renal failure is:
1. Atenolol
2. Metoprolol
3. Propranolol
4. Esmolol

Correct answer: 1. Atenolol